Commonest type of bronchogenic carcinoma is -
1. Adenocarcinoma
2. Oat cell carcinoma
3. Squamous cell carcinoma
4. Large cell carcinoma

Correct answer: 1. Adenocarcinoma

Explanation: Adenocarcinoma: The neoplasm is composed of malignant glandular epithelium which may vary in degree of differentiation from tumor to tumor. Well differentiated neoplasms may form distinct glands, other neoplasms may vary from forming papillary structures to solid neoplasms without any gland formation. Adenocarcinomas tend to be smaller than other bronchogenic carcinomas and located in the periphery of the lung. A distinctive type of adenocarcinoma is bronchioloalveolar carcinoma Ref Harrison 20th edition pg 590